Which of the following drugs is not hypoglycemic?
1. Ethosuxinide
2. Tolbutamide
3. Glibenclamide
4. Chlorpropamide

Correct answer: 1. Ethosuxinide